Blow out fracture of orbit is characterized by all EXCEPT:
1. Orbital floor and medial wall involvement are common
2. Tear drop sign on X-Ray
3. Diplopia
4. Exophthalmos

Correct answer: 4. Exophthalmos

Explanation: Ans. (d) ExophthalmosRef: A.K. Khurana 6th ed. 1422-23, Khurana's 4th Ed./g 397-398* Blowout fractures mainly involve orbital floor and medial wall.* It usually result from trauma to the oribit by a relatively large, often rounded object, such as tennis ball, cricket ball etc.* With a resultant fracture of the weakest point of the orbital wall.Classification* Pure blow-out fractures: Not associated with involvement of the orbital rim.* Impure blow-out fractures: Associated with other fractures about the middle third of the facial skeleton.Clinical Feature# Periorbital oedema and blood extravasation in and around the orbit# Emphysema of the eyelids occurs more frequently with medial wall than floor fractures.# Paraesthesia and anaesthesia# Ipsilateral epistaxis# Proptosis and Ptosis# Enophthalmos; NOT Exophthalmos# Diplopia* Plain x-rays (Waters view): fragmentation and irregularity of the orbital floor; depression of bony fragments and 'hanging drop/tear drop* opacity of the superior maxillary antrum from orbital contents herniating through the floor.